All is true about malaria, except -
1. Infant parasite rate is a poor indicator of malaria occurence in a community
2. Vector for transmission is Anapheles mosquito
3. Newborns are resistant to P. Falciparum infection
4. A. Culicifacies is common in rural area

Correct answer: 1. Infant parasite rate is a poor indicator of malaria occurence in a community

Explanation: Infant parasite rate is defined as the percentage of infants below 1 year showing malaria parasite in their blood films. It is regarded as the most sensitive index of recent transmission of malaria in a locality Reference; Park's Textbook of preventive and social medicine, 24th edition.Pg no. 277